Bullet shaped vertebrae are seen in all of the following, EXCEPT:
1. Hurlers syndrome
2. Morquio syndrome
3. Paget disease
4. Achondroplasia

Correct answer: 3. Paget disease

Explanation: Bullet shaped vertebral body is seen in Hurlers syndrome, Morquio syndrome, Hypothyroidism and Achondroplasia. Paget's disease presents with Ivory vertebra. Ref: Radiology Review Manual, By Wolfgang Dahnert, 2011, Page 192.